Commonest side effect of cryotherapy for carcinoma cervix in situ :
1. Hemorrhage
2. Persistent watery discharge
3. Cervical stenosis
4. Ulceration

Correct answer: 2. Persistent watery discharge

Explanation: Persistent watery discharge